Acalculus cholecystitis caused by:
1. DM
2. TPN
3. Leptospirosis
4. All

Correct answer: 4. All

Explanation: Ans. is 'a', 'b' & 'c' i.e. DM, TPN & Leptospirosis